DENOSUMAB a monoclonal antibody against RANKL receptor is used in the treatment of ?
1. Rheumtoid arthritis
2. Osteoporosis
3. Osteoarthritis
4. SLE

Correct answer: 2. Osteoporosis

Explanation: Ans. is 'b i.e., Osteoporosis Donesumab o Osteoclast is a cell responsible for bone resorption. o Osteoclasts express RANK receptors on its surface (RANK --> receptor activator for nuclear factor). o When RANK receptor combine with their ligands (RANKL) osteoclastogenesis is initiated and bone resorption occurs. o Donesumab is a monoclonal antibody against RANK ligand. o It prevents the activation of the osteoclasts by these ligand. Note : o Osteoporosis is a disease characterized by decrease in the bone mass. o In osteoporosis there is increase in the osteoclast activity and there is increased expression of RANK and RANKL.